Tetracycline when given to pregnant women can cause
1. Acute hepatic necrosis
2. Discoloration/staining of hard structures of foetus
3. Increased intracranial pressure in infant
4. All

Correct answer: 4. All